Culture media used for diagnosis of EHEC O157:H7
1. O culture
2. Sorbitol macconkey agar
3. XLD agar
4. Deoxycholate media

Correct answer: 2. Sorbitol macconkey agar